Most common site of occurrence of Craniopharyngioma is?
1. Infrasellar
2. Suprasellar
3. Posterior fossa
4. Nasopharyx

Correct answer: 2. Suprasellar

Explanation: Ans. is 'b' i.e., Suprasellar* Location of craniopharyngiomas can bei) Sellar - suprasellar (most cases) - most commonly arising on the pituitary stalk and projecting into the hypothalamus.ii) Infrasellar or intrasellar.iii) Prechiasmic.iv) Retrochiasmic.* Rare locations include extradural and extracranial-nasopharyngeal, posterior fossa or extending down the cervical spine.